Maximum osmotic gradient is found in
1. Outer medulla
2. Inner medulla
3. Outer cortex
4. Inner cortex

Correct answer: 2. Inner medulla

Explanation: In inner medulla osmotic gradient is high as 1200milliosmolarRef: Ganong's review of medical physiology; 24th edition; page no: 687